Molecular scissors refers to:
1. DNA Polymerase
2. Restriction Endonuclease
3. Primase
4. Helicase

Correct answer: 2. Restriction Endonuclease

Explanation: Molecular scissors refers to Restriction Endonuclease. Molecular scissors/Restriction Endonuclease Cut at random sites or Pallindromic sites (same sequence on opposite strands). Create sticky or blunt ends.